A case of murder with gunshot is reported. A metal bullet is recovered from the body. Primary and Secondary markings on a metal bullet can be used for
1. Identification of weapon
2. To know the range of firing
3. Severity of tissue damage
4. To known tome of crime

Correct answer: 1. Identification of weapon

Explanation: A i.e. Identification of weapon - Primary markings (class characteristics) and secondary markings (metallic fouling, individual or accidental characteristics) on a bullet can be used for identification of weaponQ. - Bullet is picked up with handsQ. Gunshot residue on hands can be detected by Dermal nitrate testQ.